A patient is taking ketoconazole for fungal infection develops cold for which he is prescribed terfenadine. Possible interaction between terfenadine and ketoconazole is
1. Ketoconazole decreases metabolism of terfenadine
2. Terfenadine increases levels of ketoconazole
3. Ketoconazole decreases levels of terfenadine
4. No interaction

Correct answer: 1. Ketoconazole decreases metabolism of terfenadine

Explanation: (A) Ketoconazole decreases metabolism of terfenadine# Large amounts of Terfenadine reach systemic circulation if erythromycin, ketoconazole, clarithromycin are concurrently administered, as these drugs are P450 enzyme inhibitors.> Azithromycin, fluconazole have no effect & found to be safe.